On taking X-ray, Grid is placed:
1. Behind the film and in front of the patient
2. Behind the patient and in front of the film
3. Behind the film and lateral to the patient
4. Behind the patient and lateral to the film

Correct answer: 2. Behind the patient and in front of the film

Explanation: 'Grids' are placed between the patient and the 'x-ray' film to reduce the scattered radiation from forming the image and thus improve image contrast. They are made of parallel strips of lead with an inter-space having aluminum or organic spacer and prevents scatter radiation from forming the image while allowing the straight beam to pass.